Antiglaucoma drug which acts by increasing uveo- sclerol outflow -
1. Apraclonidine
2. Latanoprost
3. Timolol
4. Brinzolamide

Correct answer: 2. Latanoprost

Explanation: Ans. is 'b' i.e., Latanoprost Drugs used in open-angle glaucoma MechanismMethods of AdministrationCholinomimetics Pilocarpine, carbachol, physostigmine, echothiophate, demecariumCiliary muscle contraction, opening of trabecular meshwork, increased outflowTopical drops of gel; plastic film slow-release insertAlpha agonists UnselectiveEpinephrine, dipivefrinIncreased outflowTopical dropsAlpha2-selectiveDecreased aqueous secretion ApraclonidineBrimonidine Topical, postlaser only TopicalBeta-blockers Timolol, betaxolol, carteolol, levobunolol, metipranololDecreased aqueous secretion from the ciliary epitheliumTopical dropsDiuretics Dorzolamide, brinzolamideDecreased aqueous secretion due to lack of HCO3TopicalAcetazolamide, dichlorphenamide, Methazolamide OralProstaglandins Lantanoprost, bimatoprost, travoprost, unoprostoneIncreased outflowTopical